The concentration of sodium ions in the standard WHO oral rehydration Solution is:
1. 40 m moles/L
2. 60 m moles/L
3. 90 m moles/L
4. 110 m moles/L

Correct answer: 3. 90 m moles/L

Explanation: Concentration of Na+ is 90 mmol/L in standard WHO-ORS whereas it is 75 mmol/L in New formula ORS. NEW FORMULA ORS contains :- Na+ - 75 mM k+ - 20mM Cl- - 65mM Glucose - 75mM Citrate - 10mM Total - 245mOsm/L